In a person suffering from phenyl ketonuria, which of the following should be restricted in diet?
1. Fat
2. Protein
3. Glycine
4. Glutamate

Correct answer: 2. Protein

Explanation: Phenylalanine is an essential amino acid. Deficiency of Pheny alanine hydroxlase os cause for the phenylketonuia. Early detection is very impant. About 5 units of IQ are lost for each 10-week delay in starting the treatment. The treatment is to provide a diet containing low phenylalanine.Food based on tapioca 9cassava0 will have low phenyl alanine content. The special diet is to be continued during the first decade of life. REF :DM VASUDEVAN TEXTBOOK ;7th EDITION;Page no ;237.